All are true about Delirium tremons Except
1. Severe depression
2. Hallucination
3. Extreme anxiety
4. Delusion

Correct answer: 1. Severe depression

Explanation: A i.e. Severe depression